Radiological hallmark of primary tuberculosis in childhood is-
1. Ghon's focus
2. Normal chest Xray
3. Lymphadenopathy
4. Pleural effusion

Correct answer: 3. Lymphadenopathy

Explanation: Ans. is 'c' i.e., Lymph adenopathy Primary tuberculosis in childhoodo Primary' tuberculosis in childhood can present in 4 major ways in addition to the normal chest radiography. These are:LymphadenopathyLobar or segmental parenchymal diseasePleural effusionMilitary involvemento Lymphadenopathy with or without parenchymal abnormality' is the radiological hallmark of primary tuberculosis in childhood.